5 year old child with pseudomembrane in throat, fever, sore throat, organism is ?
1. Comma shaped gram negative bacilli
2. Club shaped gram positive bacilli
3. Spore forming gram positive bacilli
4. Filamentous gram positive bacilli

Correct answer: 2. Club shaped gram positive bacilli

Explanation: Ans. is 'b' i.e., Club shaped gram positive bacilli Corney bacterium diphtheria Non motile, non-capsulated, club shaped gram positive bacillus. Infect nasopharynx & release exotoxin which cause local inflamation of epithelial surface, formation of membrane (pseudomembrane) and toxemia.